Number of center of excellence in vision 2020-
1. 20
2. 200
3. 2000
4. 20000

Correct answer: 1. 20

Explanation: 20 Centre of excellence in vision 2020 Functions are Professional leadership Strategy development CME Laying of standards and quality assurance Research Ref: PARK'S TEXTBOOK OF PREVENTIVE AND SOCIAL MEDICINE 23rd edition pg 440